Wernicke Korsakoff's syndrome is due to the deficiency of which of the following (Repeat):
1. Pyridoxine
2. Thiamine
3. Vitamin B12
4. Riboflavin

Correct answer: 2. Thiamine

Explanation: Ans: B (Thiamine) Ref: Synopsis of Psychiatry. Kaplan & Sadock, 10th editionExplanation:See 2010 Psychiatry question explanation.